Pseudoglioma differs from Retinoblastoma in that pseudoglioma is associated with –
1. Decreased intraocular pressure
2. Blurring of vision
3. Enlargement of the optic foramen
4. All of the above

Correct answer: 1. Decreased intraocular pressure

Explanation: The intraocular pressure is raised in retinoblastoma while it is reduced in pseudoglioma (conditions simulating retinoblastoma due to leukocoria).